Hysterosalphingography is performed in which phase of mentrual cycle?
1. During menstruation
2. Luteal phase
3. Follicular phase
4. Secretory phase

Correct answer: 3. Follicular phase

Explanation: A hysterosalpingography should be performed only in the follicular phase of the menstrual cycle after cessation of menstrual bleeding till ovulation (days 6-12 of the menstrual cycle) to avoid X-ray radiation during undiagnosed early pregnancy.